Which of the following drug does not cause hypokalemia -
1. Gentamicin
2. Diuretics
3. Amphotericin B
4. Amiodarone

Correct answer: 4. Amiodarone

Explanation: Ans. is 'd' i.e., Amiodarone Drugs causing hypokalemia agonist o Licorice o Penicillin derivatives o Amphotericin B o Theophylline o Steroids alpha Blockers o Toluene abuse o Gentamicin o Insulin o Vitamin B12 o Diuretics Carbenoxalone